The best pickling solution for gypsum bonded investment is:
1. Hydrochloric acid
2. Nitric acid
3. Sulphuric acid
4. Phosphoric acid

Correct answer: 1. Hydrochloric acid